Spinal cord ends at lower border of which vertebra in adults -
1. L11
2. L1
3. L3
4. L5

Correct answer: 2. L1

Explanation: Ans. is 'b' i.e., Li o Spinal cord begins at foramen magnum and, in adults, ends at the lower border of LI. Structure Extends up to # Adult spinal cord # Infant spinal cord Lower border of L1 or upper border of L2 Upper border of L3 vertebrae # Filum terminate # Pia mater Tip of the coccyx # Dural sheath # Subdural space # Subarachnoid space S2 vertebra